Expansile lytic osseous metastases are characteristic of 
primary malignancy of:
1. Kidney
2. Bronchus
3. Breast
4. Prostate

Correct answer: 1. Kidney